Collecting part of kidney develops from
1. Pronephrons
2. Mesonephros
3. Metanephros
4. Ureteric bud

Correct answer: 4. Ureteric bud

Explanation: HUMAN EMBRYOLOGY-INDERBIR SINGH TENTH EDITION-PAGE NO:285The collecting part of the kidney is derived from a diverticulum called the Ureteric bud which arises from the lower part of the mesonephric duct